Which is the most processsive DNA polymerase?
1. DNA Polymerase I
2. DNA Polymerase II
3. DNA Polymerase III
4. None

Correct answer: 3. DNA Polymerase III

Explanation: Processive enzymes are those that remain bound to the end of the growing chain and keeps on adding substrates. E.g. Glycogen Phosphorylase, DNA polymerases Processivity of DNA Polymerase is an expression of number of nucleotides added to the nascent chain before the polymerase disengages from the template. Of all the prokaryotic polymerases, DNA Polymerase III catalyses the highest rate (20-50 nucleotides/sec) of chain elongation and is the most processive (0.5 Mb/cycle). Of all the eukaryotic polymerases, DNA polymerase d is the most processive.